A 13yr old child visits gynaec OPD with complaints of not attaining menarche with karyotype 46XX On examination there is cliteromegaly what enzyme likely to be deficient in the above condition
1. 21 alpha hydroxylase
2. 11 beta hydroxylase
3. 17 alpha hydroxylase
4. 3 beta hydroxysteroid dehydrogenase

Correct answer: 1. 21 alpha hydroxylase

Explanation: ref : gynecology shaw